Lumbar canal stenosis presents as
1. Claudication
2. Scoliotic deformity
3. Kyphotic deformity
4. Radiculopathy

Correct answer: 1. Claudication

Explanation: The patient of lumbar canal stenosis is usually a man aged over 50, complains of aching, heaviness, numbness an paraesthesia in the thighs and legs; it comes on after standing upright or walking for 5-10 minutes, and is consistently relieved by sitting, squatting or leaning against a wall to flex the spine (hence the term 'spinal claudication')(Refer: Mohindra's Fundamentals of Orthopedics, 2nd edition, pg no. 241)